All of the following are true of Reye's syndrome, except -
1. It frequently complicates viral infections
2. Prothrombin time is prolonged
3. Disease may be precipitated by salicylates
4. Deep jaundice is present

Correct answer: 4. Deep jaundice is present

Explanation: Reye's syndrome , a serious complication in children that is associated with influenza B and to a lesser extent with influenza A virus infection as well as with varicella-zoster virus infection. An epidemiologic association between Reye's syndrome and aspirin therapy for the antecedent viral infection has been noted, and the syndrome's incidence has decreased markedly with widespread warnings regarding aspirin use by children with acute viral respiratory infections. (Harrison's Principles of internal medicine, 20th edition)